Lamellar bodies are seen in
1. Stratum corneum
2. Stratum spinosum
3. Stratum granulosum
4. Stratum lucidum

Correct answer: 3. Stratum granulosum

Explanation: Lamellar bodies (Odland bodies) are present in stratum granulosum which synthesize lipids that act as  glue to bind keratinocytes together tightly.